Germs cells derived from
1. Epiblast
2. Hypoblast
3. Endodermal sinus
4. Neural crest cells

Correct answer: 1. Epiblast

Explanation: All the germ layers ectoderm, meroderm and endoderm derived from epiblast.